Ebstein's anomaly is characterized by:
1. Upward displacement of an abnormal tricuspid valve into right atrium
2. Downward displacement of an abnormal tricuspid valve into right ventricle
3. Ventricularized right atrium
4. Atrialized left ventricleCoarctation of Aorta

Correct answer: 2. Downward displacement of an abnormal tricuspid valve into right ventricle

Explanation: Answer is B (Downward displacement of an abnormal tricuspid valve into right ventricle) Ebstein's anomaly is characterized by downward displacement of an abnormal tricuspid valve (Septa! and posterior leaflet) into the right ventricle such that the portion of the right ventricle above the displaced tricuspid valve leaflets becomes part of the right atrium (Atrialized Right Ventricle). Ebstein's Anomaly * The normal Tricuspid Valve has three leaflets (Anterior: Posterior; Septal). * Ebstein's anomaly is characterized by Downward (Apical) displacement of the Septal and Posterior leaflets into the Right Ventricle The principle feature of Ebstein's anomaly is apical displacement of the septal leaflet of the tricuspid valve from the insertion of the anterior leaflet of the mitral valve by at least 8 mm/m- body surface area. * The anterior leaflet which is fOrmed at a diflerent stage of development usually retains a normal position though it mar be redundant, fenestrated or tethered * Overall the functional annulus is displaced downward (Apical) into the right ventricle. * The portion of the right ventricle above the displaced annulus becomes Atrialized (Atrialized Right Ventricle). * The right atrium and atrialized right ventricle becomes dilated with variable degrees of hypertrophy and thinning of the wall. * The true tricuspid annulus is also dilated.